During normal conversation sound heard at a 1meter distance is
1. 60dB
2. 80dB
3. 90dB
4. 1200dB

Correct answer: 1. 60dB

Explanation: Intensity: It is the strength of sound which determines its loudness. It is usually measured in decibels. At a distance of 1 m, intensity of Whisper = 30 dB Normal conversation = 60 dB Shout = 90 dB Discomfort of the ear = 120 dB Pain in the ear = 130 dB Ref : Diseases of ENT by Dhingra 6th edition Pgno : 19